Golgi tendon apparatus conveys message to CNS depending upon
1. Tension in muscle
2. Length of muscle
3. Rapidity of contraction
4. Blood supply

Correct answer: 1. Tension in muscle

Explanation: Detection of Muscle length- Muscle spindle
Detection of Muscle tension- Golgi tendon organ